A patient presented with vomiting and ataxia. There were oxalate crystals in the urine. The patient was given ethanol and 4 methyl pyrazole for treatment. The likely diagnosis of the patient was?
1. Methanol poisoning
2. Ethanol poisoning
3. Ethylene glycol poisoning
4. Diazepam poisoning

Correct answer: 3. Ethylene glycol poisoning

Explanation: Ans. (C) Ethylene glycol poisoning(Ref: Harrison 19/e p319)Symptoms of alcohol overdose along with oxalate crystalluria points towards ethylene glycol poisoning. It is confirmed because the patient is being treated with antidotes like ethanol and fomepizol (4 methyl pyrazole).